The mechanism of action of Enteropathogenic E.coli is -
1. Adherance to enterocytes
2. Stimulates adenyl cyclase
3. Produces secretory diarrohea
4. None of the above

Correct answer: 1. Adherance to enterocytes

Explanation: Ans. is 'a' i.e., Adherance to enterocytes . EPEC adheres to the mucosa of upper small intestine and causes disruption of the brush border microvilli. The name enteroadherent E. coli has been proposed for these strains, which can be indentified by their adhesion to HEP-2 cells.